The new agent pemetrexed, useful in breast cancer, belongs to which of the following category of drugs-
1. Antitumor antibiotic
2. Alkylating agent
3. Hormonal agent
4. Antimetab olite

Correct answer: 4. Antimetab olite

Explanation: Ans. is 'd' i.e., Antimetabolite o It is an antifolate antimetabolite